You are examining a patient and finds that the joints have hypermobility and hyperextensibility. Which of the following is NOT associated with joint hyperextensibility?
1. Stickler Syndrome
2. Hyperlysinemia
3. Fragile X syndrome
4. Hurler's syndrome

Correct answer: 4. Hurler's syndrome

Explanation: Some conditions associated with hyperextensibility of joints are: Marfans syndrome Ehler's - Danlos syndrome Stickler syndrome Homocystinuria Primary hyperparathyroidism Note: Hyper extensibility of fingers and hands may be seen in Cartilage hair hypoplasia, Cutis laya and fragile X syndrome. Hurler's syndrome is associated with stiffness of joints. Ref: Meharban Singh, Edition 3, Page - 137.